Selective agent for Mycobacteria in LJ medium is :
1. Methylene blue
2. Malachite green
3. Mineral salt solution
4. Glycerol

Correct answer: 2. Malachite green

Explanation: LJ medium contains- ? Potassium dihydrogen phosphate anhydrous , Magnesium sulphate anhydrous, Magnesium citrate ? Asparagine and Glycerol ? Malachite green, 2% solution ? Eggs